Central dot sign is seen in -
1. Caroli's disease
2. Primary sclerosing cholangitis
3. Polycystic liver disease
4. Liver hamartoma

Correct answer: 1. Caroli's disease

Explanation: Central Dot sign on CT or USG is seen in:

Caroli's disease (most common cause); 
Prebiliary cysts; 
Obstructive jaundice; and 
Periportal lymphedema.